In case of Ca lung which among the following will be C/I for surgical resection -
1. Malignant pleural effusion
2. Hilar lymphadenopathy
3. Consolidation of one lobe
4. Involvement of visceral pleura.

Correct answer: 1. Malignant pleural effusion